13, years old boy, LEAST common cause of proximal lytic lesion of head of femur is:
1. Plasmacytoma
2. Metastasis
3. Histiocytosis
4. Bone tumour

Correct answer: 1. Plasmacytoma

Explanation: Ans. is 'a' Plasmacytoma If multiple myeloma occurs as a solitary lesion it is K/a PlasmacytomaAge gp is 6th-7th decade, Rare before 40yrs of ageSo the lytic lesion in a 13yrs old boy cannot be a plasmacytoma